Which of the following toxins have similar action to viper snake venom?
1. Yellow oleander
2. Semicarpus anacardium
3. Rauwolfia serpentina
4. Abrus precatorius

Correct answer: 4. Abrus precatorius

Explanation: Abrus precatoriusAlso known as jequirity Indian licorice, rosary bead, gunja or rati.The seeds contain an active principle Abrin, a toxalbumin which is similar to viperine snake venomFatal Dose: 90-120 mgFatal Period: 3-5 daysAbrus precatoriusuAlso known as jequirity Indian liquorice, rosary bead, gunja or rati.uThe seeds contain an active principle Abrin, a toxalbumin which is similar to viperine snake venomuFatal Dose: 90-120 mguFatal Period: 3-5 daysClinical featuresTreatmentSymptoms may be delayed (by few hours to 2-3 days) when taken by mouth.a.Abdominal painb.Bloody diarrheac.Weaknessd.Tremblinge.Weak rapid pulsef.Miosisg.Rectal bleedingh.Delayed cytotoxic effects occur in CNS, liver, kidneys and adrenal glands after 2-5 daysuGastric lavageuActivated charcoaluPurgativeuInjection of antiabrinuOral sodium bicarbonate maintains urine alkalinity and prevents agglutination of RBCs and acute tubular necrosis(Refer: Rajesh Bardale - Principle of Forensic Medicine & Toxicology, 1 st edition, pg no: 467, 469)